Blood spill disinfection by:
1. Isopropyl alcohol
2. Hypochlorite
3. Formalin
4. Glutaraldehyde

Correct answer: 2. Hypochlorite

Explanation: ANS. B# Spaulding's classification for sterilization1. Critical, e.g. heart lung machine, scalpel (contact with blood)2. Semicritical, e.g. endoscopes3. Noncritical, e.g. stethoscope, BP cuff, plasters.Method of sterilization1. Critical: Autoclave/ethylene oxide2. Semicritical: 2% glutaraldehyde for 20 minutes3. For plastic tubes: Gamma rays